All the following are true about Papilledema except-
1. It is a purely non-inflammatory phenomenon
2. Transient loss of vision occurs
3. First sign is blurring of the nasal side of the optic disc
4. Sudden loss of vision with painful eye movement

Correct answer: 4. Sudden loss of vision with painful eye movement

Explanation: There is gradual painless loss of vision
Papilloedema is non- inflammatory edema of optic disc. Visual symptoms (only in 25% of patients) start as transient obscurations of vision.
Earliest ophthalmoscopic sign is blurring of the margins of the optic disc, which starts at the upper and lower nasal margins and entends to nasal side.